Bromodeoxyuridine is related to DNA in:
1. Uracil
2. Adenosine
3. Cytosine
4. Thymidine

Correct answer: 4. Thymidine

Explanation: D i.e. ThymidineBromodeoxyuridine is a thymidine analogueQAs in DNA thymine is present instead of uracil, bromodeoxy uridine (5 halogenated derivative of uracil) is analogus to Thymidine of DNA.